After finding a case of AFP, next step is ?
1. OPV vaccination
2. Reporting of case
3. Stool culture
4. Chemoprophylaxis

Correct answer: 2. Reporting of case

Explanation: Ans. is 'b' i.e., Reporting of case Every case of AFP in any child under 15 years should be reported. The number of AFP cases reported each year is used as an indicator of a country's ability to detect polio, even in countries where the disease no longer occurs.